All the following show miliary shadows on chest X-ray except:
1. Pneumoconiosis
2. Mitral stenosis
3. Sarcoidosis
4. Staphylococcal pneumonia

Correct answer: 4. Staphylococcal pneumonia

Explanation: Ans. Staphylococcal pneumonia